In testicular feminisation syndrome:
1. Buccal smear is chromatin positive
2. Normal breast size is observed
3. Menstruation is scanty and infrequent
4. Streak gonads seen

Correct answer: 2. Normal breast size is observed

Explanation: Ans. is b, i.e. Normal breast size is observedRef: Dutta Gynae 6th/ed, p443In testicular feminization syndrome:Genotype = 46 XY* Hence Barr body is absent i.e. chromatin negative (i.e., option a is incorrect)* Here gonads are testis and are not streak (option d is incorrect)* There is primary amenorrhea (option c is incorrect)(i.e. option d is correct).Rest all options you know.